Features of non – proliferative DR is all except – a) Neovascularizationb) Soft exudatec) Hard exudated) Vitreous detachmente) Cotton – wool spot
1. b
2. c
3. ad
4. ab

Correct answer: 3. ad

Explanation: Neovascularization and vitreous detachment are seen in proliferative diabetic retinopathy.